Which type of breech is seen more commonly in primigravidas?
1. Complete breech
2. Frank breech
3. Footling breech
4. Knee presentation

Correct answer: 2. Frank breech

Explanation: Ans. is 'b' i.e., Frank breech Types of Breech* Complete: Full flexed attitude, thighs are flexed at the hips and legs are flexed at the knees,so the presenting part comprises of the buttocks, external genitalia and two feet. It is usually seen in multipara.IncompleteA) Frank breech: Thighs are flexed at the hips and legs are extended at the knees. The presenting part consists of external genitalia and buttocks. It is commonly seen in primigravidas (70%) due to tight abdominal wall, good uterine tone and early engagement.B) Footling presentation: Both the thighs and the legs are partially extended bringing the legs at the pelvic brim.C) Knee presentation: Thighs are extended but the knees are flexed, bringing the knees to the pelvic brim.